Schiller Duval bodies are seen in
1. Teratoma
2. Seminoma
3. Yolk sad tumor
4. Choriocarcionma

Correct answer: 3. Yolk sad tumor

Explanation: Refer Robbins page no 1031